Insulin act via which receptor:
1. Ionotropic receptor
2. Enzymatic receptor
3. Metabotropic receptor
4. Nuclear receptor

Correct answer: 2. Enzymatic receptor

Explanation: Ans. B. Enzymatic receptorInsulin acts by stimulation of tyrosine kinase receptor which is type of enzymatic receptor. T3 and T4 act via nuclear receptor. GABA and NMDA are the ionotropic receptors.